Disinfecting action of chlorine on water is mainly due to
1. Hydrogen chloride
2. Hydrogen ions
3. Hypochlorous acid
4. Hypochlorite ions

Correct answer: 3. Hypochlorous acid